A lady with 32wks and 3 days of pregnancy presents with vaginal bleeding. A recent USG done on her mentioned a placenta previa. in which of the following situation it is possible to do a conservative management ?
1. Fetal heart rate of 86/min
2. Intra Uterine Fetal Death
3. Transverse lie
4. Significant bleeding making mother hemodynamically unstable

Correct answer: 3. Transverse lie

Explanation: APH in placenta previa First episode of bleeding in placenta Previa usually subsides with conservative management in 90% of cases. Thus APH prior to 34 weeks may be managed conservatively. This is the basis of the Mcaffee Jhonsons conservative management in APH due to placenta previa Conservative management is contraIndicated when: Pregnancy >37 weeks Maternal decompensation secondary to significant bleeding Fetal distress Intra Uterine fetal death Malformed Fetus Malpresentation or malposition is not a contraindication to conservative management!